Not a haemoprotein ?
1. Albumin
2. Myoglobin
3. Cyt P450
4. Cyt C

Correct answer: 1. Albumin

Explanation: Ans. is 'a' i.e., AlbuminHemoproteins are proteins which have heme as prosthetic group.Important hemoproteins are hemoglobin, myoglobin, cytochromes (cytochrome C, cytochrome P459),catalase, peroxidase, tryptophan pyrrolase and nitric oxide synthase.